Earliest clinical feature of orbital extension of the basal cell carcinoma of the eyelid is
1. Diplopia
2. Photophobia
3. Leucocoria
4. Proptosis

Correct answer: 1. Diplopia